Which of the following is NOT a feature of male bony pelvis?
1. Heart shaped pelvic inlet
2. Narrow and deep false pelvis
3. Subpubic angle of 90 to 100 degree
4. Long and narrow sacrum with abruptly curved pelvic surface

Correct answer: 3. Subpubic angle of 90 to 100 degree

Explanation: The Subpubic angle of males measures 70 degree. In females it is wide and measures 90 to 100 degree. Difference between male and female bony pelvis: FeaturesMaleFemaleFalse pelvisNarrow and deepWide and shallowPelvic inletHeart shapedTransversely ovalTrue pelvis Narrow and deepRoomy and shallowSacrumLong and narrow with abruptly curved pelvic surfaceShort and wide with smoothly curved pelvic surfaceSubpubic angle Narrow 70 degreeWide 90-100 degree